Commonest site for rodent ulcer is -
1. Inner canthus
2. Outer canthus
3. Angle of mouth
4. Cheek

Correct answer: 1. Inner canthus